Myofascial pain dysfunction may be described as _____.
1. Masticatory pain and limited function
2. Clicking and popping of the joint
3. An infectious process
4. Dislocation of the disc

Correct answer: 1. Masticatory pain and limited function

Explanation: In myofascial pain dysfunction the source of the pain and dysfunction is muscular. Here dysfunction is associated with decreased opening or inability to chew.